Choose the TRUE/FALSE statements regarding cardicac conduction functions: a) The SA node is composed of a cluster of small fusiform cells in the sulcus terminalis at the right atrial-superior vena caval junction b) The SA nodal artery arises from the right coronary artery in 20 % and the left circumflex artery in 80 % of persons c) SA node dysfunction may be completely asymptomatic d) Almost all patients with SA node dysfunction develop supraventricular tachycardia, usually atrial fibrillation or atrial flutter e) Failure to increase the heart rate with exercise is referred to as chronotropic incompetence
1. a,b,c,d,e-True & None-False
2. a,e-True & b,c,d-False
3. a,c,e-True & b,d-False
4. b,c,d-True & a,e-False

Correct answer: 3. a,c,e-True & b,d-False

Explanation: The SA nodal artery arises from the right coronary artery in 55-60% and the left circumflex artery in 40-45% of persons. One-third to one-half of patients with SA node dysfunction develop supraventricular tachycardia, usually atrial fibrillation or atrial flutter. Ref: Harrisons Principles of Internal Medicine, 18th Edition, Page 1869